The masseter originates from the _______.
1. Condyle of the mandible
2. Infratemporal crest of the sphenoid bone
3. Inferior border of the zygomatic arch
4. Pyramidal process of the palatine bone

Correct answer: 3. Inferior border of the zygomatic arch

Explanation: The masseter originates from the inferior border of the zygomatic arch; specifically, its superficial head and deep head originate from the anterior two thirds or posterior one third of the inferior border, respectively. Its superficial head inserts into the lateral surface of the angle of the mandible; its deep head inserts into the ramus and body of the mandible.